Penicillium marneffei is seen in -
1. TB
2. AIDS
3. Diabetes
4. Kala azar

Correct answer: 2. AIDS